Dematome of middle finger:
1. C5
2. C6
3. C7
4. C8

Correct answer: 3. C7

Explanation: For thumb C6 For index and middle finger C7 For ring and little finger C8